Following are acute porphyrias except
1. ACUTE INTERMITTENT PORPHYRIA
2. Variegate porphyria
3. Heriditary corpoporphyria
4. Porphyria cutanea tarda

Correct answer: 4. Porphyria cutanea tarda

Explanation: The acute porphyrias are acute intermittent porphyria (AIP), variegate porphyria (VP), aminolevulinic acid dehydratase deficiency porphyria(ALAD) and hereditary coproporphyria (HCP). The non-acute porphyrias are X-linked dominant protoporphyria (XLDPP), congenital erythropoietic porphyria (CEP), porphyria cutanea tarda (PCT), and erythropoietic protoporphyria (EPP). The non-acute porphyrias along with two acute porphyrias, VP and HCP, that may also involve skin manifestations--are sometimes called cutaneous porphyrias. ref : Harrisons 20th ed pg 2523